Commonest part of subclavian artery to be affected by stenosis is:
1. First part
2. Second part
3. Third part
4. Equally affected

Correct answer: 1. First part

Explanation: MC site of subclavian artery stenosis is the first part of the subclavian artery.
• MC cause of subclavian artery stenosis: Atherosclerotic disease
• Left subclavian artery stenosis is significantly more common than right
• MC site of stenosis: First part of the subclavian artery
• Stenosis typically occurs just distal to the origin of the subclavian artery and lies proximal to the origin of the vertebral artery.
• Stenosis of the first part of the subclavian artery may give rise to the subclavian steal syndrome
• Subclavian steal syndrome is characterized by reversed flow in the vertebral artery to compensate for a proximal stenosis in the ipsilateral subclavian artery there by stealing blood from the ‘brain’ to feed the ‘arm’.